Pharmacokinetics is
1. Includes absorption, distribution, binding / storage/ biotransformation and excretion of the drug
2. Includes physiological and biochemical effects of drugs
3. Application of pharmacological information together with knowledge of the disease
4. Scientific study of drugs in human

Correct answer: 1. Includes absorption, distribution, binding / storage/ biotransformation and excretion of the drug

Explanation: (Includes absorption, distribution, binding/storage/biotransformation and excretion of the drug) (1-4-KDT 6th)Pharmacokinetics - to discover how the drug is distributed in and disposed of by, the bodyPharmacodynamics - to explore actions relevant to the proposed therapeutic use, and other effects at a range of doses.